Composite has
1. Resin
2. Filler
3. Resin & Filler
4. None

Correct answer: 3. Resin & Filler